Lipids do not stain with:
1. Oil red O
2. Congo red
3. Sudan III
4. Sudan black

Correct answer: 2. Congo red

Explanation: . Congo red